As a side effect the metabolic syndrome is most commonly associated with which of the following group of medications ?
1. Anti–anxiety drugs
2. Anti–depressant drugs
3. Anti–psychotic drugs
4. Anti–cholinergic drugs

Correct answer: 3. Anti–psychotic drugs